True regarding cocaine are all, except:
1. Causes tachycardia and hypertension
2. Half life is 3 hrt
3. No antidote
4. Can be taken by snorting

Correct answer: 2. Half life is 3 hrt

Explanation: Ans. Half life is 3 hrt